For TOF management in antenatal period includes ?
1. Balloon valvotomy
2. Open heart surgery
3. Karyotyping
4. Aspirin

Correct answer: 3. Karyotyping

Explanation: Ans. is 'c' i.e., KaryotypingTOF has been associated with untreated maternal diabetes, phenylketonuria, and intake of retinoic acid.Associated chromosomal anomalies occur in 30% cases and include trisomies 21, 18, 13 and 22q11 microdeletion, especially in pulmonary atresia and absent pulmonary valve syndrome (APVS).There is also a high association with extra - cardiac anomalies in particular, abdominal and thoracic abnormalities.When a TOF is diagnosed during fetal life, karyotyping and targeted morphologic ultrasound examination should be offered.Isolated TOF - Good prognosis in TOF with pulmonary stenosis (>90% survival after surgery).However, other forms of TOF such as pulmonary atresia and absent pulmonary valve syndrome do not have a good prognosis (moderate prognosis for pulmonary atresia and bad prognosis for APVS).